Rope mistaken for a snake, is an example of -
1. Illusion
2. Delusion
3. Hallucination
4. None

Correct answer: 1. Illusion

Explanation: Ans. is 'a' i.e. Illusion Illusiono Illusions are altered perception in which a real external object is combined with imagery to produce false internal percept. In simple words, illusion is misinterpretation of an actual sensory input. For example:-i) Mistaking a stick or rope for snake in dark room:- Stick is a real external object, which is perceived falsely as snake.ii) Hearing once name in a train whistle:- Train whistle is a real external stimulus, which is perceived as once name (false internal percept).In illusion:-i) Sensory input is in external atmosphere.ii) Percept is in internal atmosphere (inner subjective space, i.e., inside the mind)o Illusions are most commonly seen in delirium.